Ammonia is toxic to the brain because it leads to depletion of which substrate?
1. Succinate
2. Alpha ketoglutarate
3. Isocitrate
4. Fumarate

Correct answer: 2. Alpha ketoglutarate

Explanation: Ans. B. Alpha ketoglutarateAmmonia reacts with Glutamate to form Glutamine. The Glutamate is formed from alpha keto glutarate an intermediate of TCA Cycle. So alpha ketoglutarate is depleted.